A patient presents with respiratory symptoms, i.e. cough, hemoptysis and glomerulonephritis. His c-ANCA levels in serum were found to be raised. The most likely diagnosis is
1. Goodpasture’s syndrome
2. Classic polyarteritis nodosa
3. Kawasaki’s syndrome
4. Wegener’s granulomatosis

Correct answer: 4. Wegener’s granulomatosis

Explanation: • Both Wegener’s granulomatosis and Goodpasture’s syndrome can present similarly but presence of c-ANCA makes a diagnosis of Wegener’s granulomatosis.